Floor of class II cavity for amalgam restoration, occlusally should be:
1. In enamel
2. In dentin
3. In DEJ
4. Just above the roof of pulp chamber

Correct answer: 2. In dentin